A patient presented with painless b/1 proptosis. What is the next investigation to diagnose it as chloroma?
1. Blood haemoglobin
2. Peripheral smear
3. Platelets
4. Bone marrow (reticulin)

Correct answer: 2. Peripheral smear

Explanation: Ans. (b) Peripheral smearMyeloid (granulocytic) sarcoma, or myeloblastoma are extramedullary blast proliferation.These tumors are called chloromas because some appear green or turn green in dilute acid secondary to expression of MPO. The tumors are usually localized; they often involve bone, periosteum, soft tissues, lymph nodes, or skin. Common sites are the orbit and the paranasal sinuses.The diagnosis can be made if Auer rods are detected on blasts in peripheral smear or if myeloid origin is confirmed by cytochemical or immunohistochemical methods . The diagnosis should be suspected if eosinophilic myelocytes are present in hematoxylin and eosin-stained biopsy sections. Imprint preparations can be helpful.